A patient requires mild cholinomimetic stimulation following surgery. Physostigmine and bethanechol in small doses have significantly different effects on which of the following?
1. Gastric secretion
2. Neuromuscular junction
3. Sweat glands
4. Ureteral tone

Correct answer: 2. Neuromuscular junction

Explanation: Ans. (B) Neuromuscular junction(Ref: Katzung 11/e p98)Bethanechol acts on muscarinic receptors only whereas physostigmine increases ACh, thus can stimulate both muscarinic and nicotinic receptors. Neuromuscular junction contains NM receptors, thus will be affected by physostigmine but not by bethanechol.